Integrins include all the following Receptor except ?
1. Fibronectin
2. Glycoprotein on platelet surface
3. Leukocyte adhesion molecule
4. Platelet derived growth factor

Correct answer: 4. Platelet derived growth factor

Explanation: Ans. is 'd' i.e., Platelet derived growth factor o Integrin superfamily consists of proteins that promote cell to cell or cell to matrix adhesion (in contrast selectins promote only cell to cell adhesion). o The extracellular domain binds to : - Matrix glycoproteins Adhesions molecules on other cells Activated complement components Fibronectin and vitronectin molecules.